When scaling and root planning, the primary objective of the procedure is to
1. Cause shrinkage of gingival tissue
2. Create glass - like root surfaces
3. Remove all cementum
4. Restore the gingival tissue to health

Correct answer: 4. Restore the gingival tissue to health